A 24 years gravid female at 36 weeks gestation comes with visual disturbance, headache and elevated BP of 180/110 mm Hg and 176/104 mm Hg in two readings taken 20 minutes apart. Which is the best management
1. Start antihypertensive, magnesium sulphate and terminate pregnancy
2. Admit, start antihypertensive and allow to continue the pregnancy to the term
3. Give antihypertensive and treat in OPD basis
4. Only admit and watch the patient

Correct answer: 1. Start antihypertensive, magnesium sulphate and terminate pregnancy

Explanation: Ans. a. Start antihypertensive, magnesium sulphate and terminate pregnancy